About papillary carcinoma what is true
1. Often encapsulated
2. Prognosis bad
3. Lymph node metastases is common
4. Iodine deficiency is a important risk factor

Correct answer: 3. Lymph node metastases is common

Explanation: Papillary thyroid cancer is most common thyroid cancer and has the best prognosis. Not commonly encapsulated. Spreads commonly by lymphatic route. Irradiation is the important risk factor . Iodine deficieny is a important risk factor for follicular cancer. Source : Sabiston 20th edition Pg : 902